Central placenta under the classification of placenta previa depending on the extension of the placenta into the lower segment comes under __________
1. Type 1
2. Type 2
3. Type 3
4. Type 4

Correct answer: 4. Type 4

Explanation: Older classification of placenta previa (Browne's) Type Position Definition Type 1 Lateral Placenta dipping into lower segment but not reaching upto the os Type 2 Marginal Placental edge reached the os Type 3 Incomplete central Placenta covers the internal os when closed, but not when fully dilated Type 4 Central Placenta covers the internal os even when fully dilated Ref: Practical guide to High-risk pregnancy 3rd edition Pgno: 152